Normal axial length of the eye -
1. 18mm
2. 20 mm
3. 24mm
4. 28 mm

Correct answer: 3. 24mm

Explanation: Ans. is 'c' i.e., 24 mm o The length of the eyeball is approximately 24 mm, So the distances from the cornea / crystalline lens to the retina and the focal length of optical rays focused by the comea/crystalline lens propagating in the vitreous humor and imaging on the retina, are also about 24 mm.Dimensiosn of an adult eyeAnteroposterior diameter (Length)24 mmHorizontal diameter23-5mmVertical diameter23 mmCircumference75 mmVolume6-5 mlWeight7 gm